Nerve injury with Best prognosis ?
1. Radial nerve
2. Ulnar nerve
3. Median nerve
4. Axillary nerve

Correct answer: 1. Radial nerve

Explanation: Radial nerve injury has the best prognosis